Rotter's node is
1. Interpectoral nodes
2. Internal mammary LN
3. Supraclavicular LN
4. Infraclavicular LN

Correct answer: 1. Interpectoral nodes

Explanation: Ans: A Interpectoral nodes Interpectoral (Rotter's) lymph nodes - Small interpectoral lymph nodes located between pectoralis major & pectoralis minor muscles.